A 35-year-old woman presents with a history of erythematous papulopustular lesions on the face. She reports diffuse redness on her cheeks. The most likely diagnosis in the patient is
1. Acne vulgaris
2. Rosacea
3. Atopic dermatitis
4. Seborrheic dermatitis

Correct answer: 2. Rosacea

Explanation: Rosacea has flushing episodes with telangiectasia (Erythematous-telangiectatic variant). Later due to inflammation, there is papules/pustules/RhinophymaAcne will have comedones and no redness. Atopic dermatitis has itching and eczematous eruptions while seborrheic dermatitis will have scaling (yellow greasy) on seborrheic areas with itching